Pigmented Villonodular synovitis most commonly involves?
1. Shoulder
2. Knee
3. Hip
4. Ankle

Correct answer: 2. Knee

Explanation: Pigmented villonodular synovitis (PVNS) is a benign proliferative condition affecting synovial membranes of joints, bursae or tendons resulting from synovial proliferation with villous and nodular projections and haemosiderin deposition. PVNS is most commonly mono articular mainly involving Knee joint